Bacilli Calmette Guerin contains the avirulent strains of
1. Human tubercle bacilli
2. An tubercle bacilli
3. Bovine tubercle bacilli
4. Atypical mycobacteria

Correct answer: 3. Bovine tubercle bacilli

Explanation: BCG is produced from strain Mycobacterium bovis Ref: Harrison's Principles of Internal Medicine; 19th edition; Chapter 202; Tuberculosis